Metronidazole is a type of:
1. Broad spectrum antibiotic
2. Quinolone
3. Imidazole derivative
4. Antidepressant

Correct answer: 3. Imidazole derivative